Initial treatment of the patients with growth hormone secreting pituitary adenoma
1. Transsphenoidal Surgical Resection
2. Somatostatin Analogues
3. Dopamine agonists drugs
4. GH Receptor Antagonists

Correct answer: 1. Transsphenoidal Surgical Resection

Explanation: Ans. (a) Transphenoidal Surgical resection* Treatment of Choice for Pituitary tumors is initially and always is by Transsphenoidal Resection.* Preferred for both micro and macro adenomas